Blue sclera is associated with:
1. Marfan's syndrome
2. Osteogenesis imperfecta
3. Buphthalmos
4. All of the above

Correct answer: 4. All of the above

Explanation: Blue sclera is asymptomatic condition d/t thinning of sclera, associted with : Osteogenesis imperfecta. Congenital Glaucoma Marfan's syndrome Ehlers-Danlos syndrome, Pseudoxanthoma elasticum, Buphthalmos High myopia Healed scleritis. Neveus of ota Extra edge: Thickening of sclera is seen in posterior scleritis, Nanophthalmus etc